Which of the following is not seen in Anorexia nervosa?
1. Decreased appetite
2. Avoidance of food
3. Purging episodes
4. Significantly reduced weight

Correct answer: 1. Decreased appetite

Explanation: Anorexia nervosa is a misnomer. "Anorexia" or decreased appetite is not seen.
Appetite will be normal.